All of the following are indications for the use of ACE inhibitors except:
1. Hypertension
2. Myocardial infarction
3. Left ventricular dysfunction
4. Pheochromocytoma

Correct answer: 4. Pheochromocytoma